The patient's ability to maintain an independent airway, and respond appropriately to physican stimulation and
verbal commands is seen in
1. General Anesthesia
2. Deep Sedation
3. Conscious Sedation
4. Deep Sedation and General Anesthesia

Correct answer: 3. Conscious Sedation